Mutations in Marfans syndrome is in:
1. Collagen
2. Fibrillin
3. Elastin
4. Fibrin

Correct answer: 2. Fibrillin

Explanation: Fibrillin